Franklin disease is?
1. heavy chain disease
2. 6-heavy chain disease
3. y-heavy chain disease
4. u-heavy chain disease

Correct answer: 3. y-heavy chain disease

Explanation: Answer- C. y-heavy chain diseaseFranklin's disease (gamma heavy chain disease)It is a very rare B-cell lymphoplasma cell proliferative disorder.It may be associated with autoimmune diseases and infection is a common characteristic of the disease.